Rate of elimination with first order kinetics is proportional to -
1. Plasma concentration
2. Loading dose
3. Maintainence dose
4. Renal plasma flow

Correct answer: 1. Plasma concentration

Explanation: Ans. is 'a' i.e., Plasma concentration First order kinetics Zero order kinetics (Non linear kinetics)1.Constatnt fraction of drug is eliminated per unit time1.Constant amount of the drug is eliminated per unit time.2.Rate of elimination is independent of plasma concentration2.Rate of elimination is proportional to plasma concentration3.Clearance is more at low concentrations and less at high concentrations4.Half life is less at low concentrations and more at high concentrations3.Clearance remains constant5.Very few drugs follow pure zero order kinetice e.g. alcolol4.Half life remains constant6.Any drug at high concentration (when metabolic or elimination5.Most of the drugs follow first order kinetics pathway is saturated) may show zero order kinetics